Keshan card iomegaly -
1. Se
2. Cu
3. Zn
4. Fe

Correct answer: 1. Se

Explanation: Ans. is 'a' i.e., Se